True statement for axial flap is :
1. Carries its own vessels within it
2. Kept in limb
3. Transverse flap
4. Carries its own nerve in it

Correct answer: 1. Carries its own vessels within it

Explanation: A flap is a partially or completely isolated segment of tissue with its own blood supply.
A graft does not carry its own blood supply, but is completely dependent on early diffusion & late ingrowth of vessels from the recipient’s bed.